Commonest complication of extra capsular intertrochanteric fracture of neck of femur is:
1. Non union
2. Ischemic necrosis
3. Malunion
4. Pulmonary complications

Correct answer: 3. Malunion

Explanation: C i.e. Malunion